Treatment in post operative shivering?
1. Pethidine
2. Piritramide
3. Methadone
4. Pentazocine

Correct answer: 1. Pethidine

Explanation: Ans. is 'a' i.e., Pethidine Post-anaesthesia shivering (PAS) Post anaesthesia (post operative) shivering occurs in 40% of patients recovering from general anaesthesia. Some time it is preceded by central hypothermia and peripheral vasoconstriction, indicating that it is a thermoregulatory mechanism Pethidine is most effective drug for treatment of PAS. Other drugs used are --clonidine, doxapram, ketanserin, alfentonil, butorphanol, chlorpromazine.